All of the following cause panuveitis except ?
1. Ankylosing spondylitis
2. Toxoplasmosis
3. Sarcoidosis
4. Sympathetic ophthalmitis

Correct answer: 1. Ankylosing spondylitis

Explanation: Panuveitis. It is inflammation of all parts of the uveal tract - i.e. iris, ciliary body and choroid, manifestations of which can be seen in both the anterior (anterior chamber + posterior chamber) and posterior (vitreous cavity) segment of the eye. Cause of Panuveitis Sarcodiosis Tuberculosis Syphils Onchocerciasis Leptospirosis Brucelliosis Sympthetic Opthalmia Bechets's diseas Multiple Sclerosis Cysticercosis Vogt-Koyanagi-Harada Syndrome Retinal itraneuclear foreign body Masquerade syndrome:retinoblastoma , leukemia Ankylosing spondylitis causes anterior uveitis.(Seronegative arthropathy)